A child with low blood glucose is not able to do glycogenolysis or gluconeogenesis. Which of the following enzyme is missing in the child?
1. Fructokinase
2. Glucokinase
3. Glucose 6-phosphatase
4. Transketolase

Correct answer: 3. Glucose 6-phosphatase

Explanation: c. Glucose 6 phosphatase(Ref: Nelson's 20/e p 715, Ghai 8/e p 655)Glycogenolysis or gluconeogenesis is mediated by glucose 6 phosphatase which is absent in Von Gierke disease.